One of the following is NOT a sign of diabetic retinopathy-
1. Microaneurysms
2. Cotton wool spots
3. Hard exudates
4. Choroidal neovascularization

Correct answer: 4. Choroidal neovascularization

Explanation: Non-proliferative diabetic retinopathy (NPDR) Opthalmoscopic features of NPDR include: Microaneurysm are seen in the macular area (the earliest detectable lesion) . These are formed due to focal dilation of capillary wall following loss of pericytes. These appaear as red dots and leak fluid, proteins.", lipids and also fluorescein dye on FFA. Retinal haemorrhages Retinal oedema Hard exudates Cotton-wool spots Venous abnormalities Intraretinap microvascular abnormalities (IRMA) Dark-blot haemorrhages Ref;A.K.Khurana; 6th edition; Page no: 278